Which among the following is not an RNA virus?
1. Hepatits A
2. Hepatitis B
3. Hepatitis C
4. Hepatitis D

Correct answer: 2. Hepatitis B

Explanation: Ans: b (hepatitis B) Ref:Ananthanarayan, 7 p. 547Among the hepatitis virus only DNA virus is hepatitis B virus (Hepadna virus). Just go through theFeatureHAVHBVHCVHDVHEVAgentSSRNA icosahedral,capsid unenvelopedDSRNAComplex structure envelopedSSRNA envelopedSS defective virus envelopedSSRNA unenvelopedClassificationPicoma virus(enterovirus typelll)Hepadna virusFlaviUnknowncalcivirusTransmissionfaecooralparentralparentralparentralfaecooralIP15-45 days(2-6 weeks)30-180 days(2-6 mon)30-90 days 1-3 mon30-50 days 1-2 mon50-60 days 1/2 - 2 monthOnsetacuteinsiduousinsiduousinsiduousacuteIllnessmildOcc. severemoderateOcc. severeMild except in pregnancy (fulminant in 40 %)Carrier statenilcommonpresentNil(only with HBV)niloncogenicityNilyesyesnilNilSpecific Rx.Ig & vaccineIg& vaccinenilHBV vaccineNil